Alpha-fetoprotein in maternal serum and/or amniotic fluid is increased in all except -
1. Fetal neural tube defects
2. Down's syndrome
3. Anencephaly
4. Encephalocele

Correct answer: 2. Down's syndrome